Which of the following is not a feature of Acute congestive glaucoma –
1. Deep angle
2. Painful condition
3. Vertically oval pupil
4. Increased intraocular pressure

Correct answer: 1. Deep angle

Explanation: Clinical features of acute congestive glaucoma 


Symptoms: Sudden onset of very severe pain in the eye which radiates along the branches of 5th nerve and is frequently associated with nausea, vomiting and prostrations. Patient develops rapidly progressive loss of vision, redness, photophobia, and lacrimation. Coloured halos are seen.
Signs:


Lid edema


Conjunctiva is chemosed and congested (both conjunctival & ciliary vessels are congested).
Cornea is oedematous and insensitive.
Anterior chamber is very shallow & with aqueous flare
Angle of anterior chamber is closed (on gonioscopy)
Iris is discoloured
Pupil is semidilated, vertically oval and fixed. It is non reactive to both light and accommodation.


IOP is markedly raised (40-70 mmHg)


Optic disc is oedematous & hyperemic
Fellow eye shows shallow anterior chamber and a narrow angle.